Patient on phenothiazines complains of involuntary perioral movement this is suggestion of -
1. Tardive dyskinesia
2. Torsion dystonia
3. Good prognosis schizophrenia
4. All of the above

Correct answer: 1. Tardive dyskinesia

Explanation: Ans. is 'a' i.e., Tardive dyskinesia o Tardive dyskinesia manifests as purposeless involuntary facial and limb movement like constant chewing, pouting, puffing of cheeks, lip licking (all are perioral movement) and choreoathetoid movement.